X-ray features of ASD are all except -
1. Right atrial enlargement
2. Left atrial enlargement
3. Pulmonary plethora
4. Small aortic knockle

Correct answer: 2. Left atrial enlargement

Explanation: Characteristic features of ASD include enlarged heart,Right Atrium,Right Ventricle,Pulmonary Artery and Pulmonary Vein with Normal Left atrium and Left ventricle and decreased aorta and SVC.